Spontaneous regression of malignant tumor is feature of -
1. Neuroblastoma
2. Renal cell carcinoma
3. Burkitt' s lymphoma
4. Wilm's tumour

Correct answer: 1. Neuroblastoma

Explanation: Ans. is 'a' i.e., Neuroblastoma Both, Neuroblastoma and Renal cell carcinomas show spontaneous regression. But, the answer is Neuroblastoma because it has greater tendency to regress spontaneously than renal cell carcinoma.